Severe muscular exercise causes
1. Lactic acidosis
2. Ketoacidosis
3. Hypothermia
4. | CPK levels

Correct answer: 1. Lactic acidosis

Explanation: Intense Exercise. When you exercise, your body uses oxygen to break down glucose for energy. During intense exercise, there may not be enough oxygen available to complete the process, so a substance called lactate is made. Your body can convert this lactate to energy without using oxygen. But this lactate or acid can build up in your bloodstream faster than you can burn it off. The point when lactic acid starts to build up is called the "lactate threshold."Inhibition of Pyruvate MetabolismLeads to Lactic AcidosisArsenite and mercuric ions react with the 'SH groups of lipoic acid and inhibit pyruvate dehydrogenase, as does a dietary deficiency of thiamin (see Chapter 44), allowing pyruvate to accumulate. Many alcoholics are thiamin deficient (both because of a poor diet and also because alcohol inhibits thiamin absorption), and may develop potentially fatal pyruvic and lactic acidosis. Patients with inherited pyruvate dehydrogenasedeficiency, which can be the result of defects in one or more of the components of the enzyme complex, also present with lactic acidosis, particularly after a glucose load. Because of the dependence of the brain on glucose as a fuel, these metabolic defects commonly cause neurological disturbances. Inherited aldolase A deficiency and pyruvate kinase deficiency in erythrocytes cause hemolytic anaemia. The exercisecapacity of patients with muscle phosphofructokinase deficiency is low, particularly if they are on high-carbohydrate diets. By providing lipid as an alternative fuel, for example, during starvation, when blood free fatty acid and ketone bodies are increased, work capacity is improvedReference: Harper biochemistry page no 174